Artery to bleed in duodenal ulcer haemorrhage:
1. Splenic artery
2. Gastroduidenal artery
3. Left gastric artery
4. Superior mesenteric artery

Correct answer: 2. Gastroduidenal artery

Explanation: Answer is B (Gastroduodenal Artery): The most common arterial source of a hemorrhage in duodenal ulcers is the gastroduodenal artery. `Bleeding ulcers in the duodenum are usually located on the posterior surface of the duodenal bulb. As the ulcer penetrates, the gastroduodenal artery is exposed and may become eroded. Ulcers on the anterior surface of the duodenal bulb are not prone to bleed since no major blood vessels lie on the anterior surface of the duodenal bulb.'